Full dispersion is seen in :
1. Full chocked
2. Half chocked
3. Unchocked
4. All of the above

Correct answer: 3. Unchocked

Explanation: C i.e. Unchoked